Which of the following is not a clinical feature of gangrene
1. Foul smelling necrosis of the muscle bundle
2. Loss of contractility of the muscle
3. The skin becomes dull red ,green or black.
4. Gas produced by the organism in Kedney leading to foaming kidney.

Correct answer: 4. Gas produced by the organism in Kedney leading to foaming kidney.

Explanation: Clinical features of gas gangrene are:

Foul smelling necrosis of the muscle bundles
Loss of contractility of the muscle
The skin becomes dull red, green or black
Crepitus
Foaming liver due to gas produced by the organisms in liver.